In dental practice, how should mercury be discarded after amalgam restoration:
1. Collect carefully and recycle
2. Chemical treatment
3. Deep burial
4. Incineration

Correct answer: 1. Collect carefully and recycle